Glutamate is not a precursor of
1. Ammonia
2. Proline
3. Glutathione
4. Histidine

Correct answer: 4. Histidine

Explanation: Glutamate is formed from histidine and not vice versa. Pg no.244.proline can be synthesized from glutamate with minor modification of catabolic pathway. Also glutamate is formed from proline. Pg no.201. Fig 15.7. ammonia pool is formed from glutamate also. Pg no.199.fig 15.3.Meister cycle. Glutamate is formed from glutathione and vice versa. It's a cycle.Ref: DM Vasudevan - Textbook of Biochemistry for Medical Students, 7th edition, page no: 243, fig; 18.13